During a year-long training program, a 23-year-old female air force officer falls in class rank from first place to last place. She has also noted a lower pitch to her voice and coarsening of her hair, along with an increased tendency toward weight gain, menorrhagia, and increasing intolerance to cold. Which of the following laboratory abnormalities is expected?
1. Increased serum free T4
2. Increased serum T3 resin uptake
3. Increased saturation of thyroid hormone-binding sites on TBG
4. Increased serum TSH

Correct answer: 4. Increased serum TSH

Explanation: - Given history is strongly suggestive of idiopathic myxedema/ primary hypothyroidism. - Expected laboratory abnormalities in this pt are: decreased serum free T4 & T3 levels increased TSH levels - most appropriate test increased cholesterol decreased saturation of TBG decreased T3 resin uptake